All of the following are the posterior relations of kidney except:
1. Psoas Major
2. Quadratus Lumborum
3. Sympathetic chain
4. Ilioinguinal Nerve

Correct answer: 3. Sympathetic chain

Explanation: Ans. C. Sympathetic chainThe posterior relations of two kidneys are:a. Four muscles: Diaphragm, quadratus lumborum, psoas major, and transversus abdominis.b. Three nerves: Subcostal (T12 , iliohypogastric (L1 ), and ilioinguinal (L1 ). The subcostal nerve is accompanied by the subcostal vessels.c. One or two ribs: The right kidney is related to the 12th rib whereas the left kidney is related to the 11th and 12th ribs.